Pleural mesothelioma is associated with
1. Asbestosis
2. Berylliosis
3. Silicosis
4. Beryliosis

Correct answer: 1. Asbestosis

Explanation: Ref:Textbook of pathology (Harsh mohan) 6th edition,page no.493 Asbestos exposure predisposes to a number of cancers, most importantly bronchogenic carcinoma andmalignant mesothelioma . A few others are: carcinomas of oesophagus, stomach, colon, kidneys and larynx and various lymphoid malignancies. 1. Bronchogenic carcinoma is the most common malignancy in asbestos workers. Its incidence is 5 times higher in non-smoker asbestos workers than the nonsmoker general population and 10 times higher in smoker asbestos workers than the other smokers. 2. pleural mesothelioma is an uncommon tumour but association with asbestos exposure is present in 30 to 80% of cases with mesothelioma. The exposure need not be heavy because mesothelioma is known to develop in people living near asbestos plants or in wives of asbestos workers.